Which of the following circulatory changes normally take place in the newborn within 5 minutes after birth?
1. Closure of the ductus arteriosus
2. Closure of the foramen ovale
3. Increase in pulmonary artery resistance
4. All of the above

Correct answer: 2. Closure of the foramen ovale

Explanation: With the first breath of life, pulmonary arterial resistance drops dramatically. This is due to the oxygenation of the lungs causing vasodilatation of the pulmonary vessels. Clamping of the umbilical cord doubles peripheral resistance and causes an increase in arterial blood pressure. As soon as right atrial, pressure drops below left atrial pressure, the foramen ovale will close (valve-like mechanism), establishing the adult-type blood circulation. The rising systemic and falling pulmonary artery pressure causes a flow reversal through the ductus arteriosus from right to left to left to right within minutes of birth. Complete closure of the ductus arteriosus appears to be due to a decline of local prostacyclin levels and usually occurs within 24 to 48 hours after birth. Ref: Morton D.A., Foreman K.B., Albertine K.H. (2011). Chapter 4. Heart. In D.A. Morton, K.B. Foreman, K.H. Albertine (Eds), The Big Picture: Gross Anatomy.